Mean Hb values are compared in two population groups. The best test is ?
1. Paired T test
2. Unpaired T test
3. Chi-square test
4. Fisher's test

Correct answer: 2. Unpaired T test

Explanation: Ans. is 'b' i.e., Unpaired T test